All are true regarding Craniopharyngioma except?
1. Derived from Rathke's pouch
2. Contains epithelial cells
3. Present in temporal or parietal lobes
4. Causes visual disturbances

Correct answer: 3. Present in temporal or parietal lobes

Explanation: Craniopharyngiomas are benign, suprasellar cystic masses that present with headaches, visual field deficits, and variable degrees of hypopituitarism. They are derived from Rathke's pouch and arise near the pituitary stalk, commonly extending into the suprasellar cistern.They contain Epithelial cell. Craniopharyngiomas are often large, cystic, and locally invasive. Many are partially calcified, exhibiting a characteristic appearance on skull X-ray and CT images. MRI is generally superior to CT for evaluating cystic structure and tissue components of craniopharyngiomas. CT is useful to define calcifications and evaluate invasion into surrounding bony structures and sinuses.